STOP TB Strategy was lauched in -
1. 2002
2. 2006
3. 2010
4. 2013

Correct answer: 2. 2006

Explanation: Ans. is 'b' i.e., 2006 STOP TB Strategyo In 2006, WHO launched the new Stop TB Strategy,o The core of this strategy is DOTS.o The strategy is to be implemented over the next 10 years as described in the Global Plan to Stop TB 2006-2015.o The targets and indicators for TB control are as defined within the framework of MDGs,o These will be used to measure the progress made under the stop TB strategy.o It focuses onthe five principal indicators that are used to measure the implementation and impact of TB control,o They are : case detection, treatment success, incidence, prevalence and deaths.o The global targets for case detection and treatment success have been set by WHO's World Health Assembly.i) By 2015 : The global burden of TB (prevalence and death rates) will be reduced by 50% relative to 1990 levels. This means reducing prevalence to 150 per 100,000 or lower and deaths to 15 per 100,000 per year or lower by 2015 (including TB cases coinfected with HIV). The number of people dying from TB in 2015 should be less than approximately 1 million, including those coinfected with HIV.ii) By 2050 : The global incidence of TB disease will be less than or equal to 1 case per million population per year.